Which of following measures cannot reduce incidence of head injuries?
1. Setting up of neurological centers
2. Education about safety
3. Strict safety rules
4. Wearing Helmets

Correct answer: 1. Setting up of neurological centers

Explanation: (A) Setting up of neurological centers# MAJOR CAUSE OF TRAUMATIC BRAIN INJURIES (TBI) are vehicle accidents, their prevention or the amelioration of their consequences can both reduce the incidence and gravity of TBI.> In accidents, damage can be reduced by use of seat belts, child safety seats and motorcycle helmets, and presence of roll bars and air bags.> Education programs exist to lower the number of crashes.> In addition, changes to public policy and safety laws can be made; these include speed limits, seat belt and helmet laws, and road engineering practices.> Prevention of Head Injuries: Preventative measures include safer roads, barriers to prevent falls, and gun control legislation. In addition, bicycle and motorcycle helmets, seat belts, airbase, and soft surfaces on playgrounds are effective. 25-30% of head injuries in infants are the result of an abuse - healthcare professionals need to be trained in safeguarding and to raise concerns without delay.